A middle aged female has flaccid bullae in the skin and oral erosion. Histopathology shows intraepidermalacantholoytic blisters. The most likely diagnosis is:
1. Bullous pemphigoid
2. Paraneoplastic pemphigus
3. Dermatitis herpetiformis
4. Pemphigus vulgaris

Correct answer: 4. Pemphigus vulgaris

Explanation: Ans. d. Pemphigus vulgarisFlaccid intraepidermal bullae with oral erosions are seen in pemphigus vulgaris